Which structure prevents spread of infection from middle ear to brain
1. Tegmen tympani
2. Cribriform plate
3. Fundus tympani
4. Petrous apex

Correct answer: 1. Tegmen tympani

Explanation: Tegmen tympani forms the roof of the middle ear and it also extends posteriorly to form a roof of aditus and antrum. Reference: Dhingra 6th edition